Which of the following stem cell population are found in bone marrow except
1. Endothelial progenitor cells
2. Myoblast progenitor cells
3. Mesenchymal stem cells
4. Hematopoetic stem cells

Correct answer: 2. Myoblast progenitor cells

Explanation: Myoblast progenitor cells are indirectly derived from mesenchymal stem cells